Affect of sympathetic stimulation on GFR ?
1. Increased GFR with afferent arteriolar dilatation
2. Increased GFR with efferent arteriolar constriction
3. Decreased GFR with afferent arteriolar constriction
4. Decreased GFR with efferent arteriolar dilatation

Correct answer: 3. Decreased GFR with afferent arteriolar constriction

Explanation: Ans. is 'c' i.e., Decreased GFR with afferent arteriolar constrictionSympathetic stimulation causes afferent arteriolar constriction with decrease in RBF and GFR.Effect of sympathetic discharge on the renal regulation of body fluid and electrolytesSympathetic discharge on the kidney results in :-Decreased GRF.Increased reabsorption of Na+ and water from the PCT.Increased reabsorption of Na+ and water from the DCT.Thirst (due to angiotensin II production).The overall effect is fluid and electrolyte retention due to :-Decreased urinary output.Decreased urinary Na' excretion.Increased water intake.